Ulnar injury in the arm leads to all EXCEPT:-
1. Sensory loss of the medial 1/3rd of the hand
2. Weakness of the hypothenar muscles
3. Claw hand
4. Adduction of thumb

Correct answer: 4. Adduction of thumb

Explanation: Ulnar nerve supplies the adductor pollicis muscle and hence it will be paralysed in its lesion. -hypothenar muscles are supplid by ulnar nerve -Ulnar nerve Palsy leads to Claw hand deformity Hence, adduction of thumb is not a clinical finding in ulnar nerve palsy.